Satellite nodules are seen in –
1. Fungal corneal ulcer
2. Tuberculosis
3. Sarcoidosis
4. Viral ulcer

Correct answer: 1. Fungal corneal ulcer

Explanation: "The so-called "satellite phenomenon ", a ring of punctate opacities around a denser central ulcer, is an important diagnostic feature of fungal corneal ulcer". — Clinical ophthalmology